Largest lung volume is defined by
1. Vital capacity
2. Functional residual capacity
3. Inspiratory capacity
4. ERV+IRV

Correct answer: 1. Vital capacity

Explanation: Ans: a (Vital capacity) Please go through diagram given below & make the facts clear. LUNG VOLUMES INSPIRATORY CAPACITY (IC)FUNCTIONAL RESIDUAL CAPACITYVITAL CAPACITYTOTAL LUNG CAPACITY= TV + IRV= ERV + RV= ERV + TV + IRV= ERV+ TV + IRV + RV. Male (L)Female (L)Residual volumeExpiratory reserve volume1.211.10.7Tidal volume0.50.5Inspiratory reserve volumeTotal lung capacity3.361.94.2 Respiratory minute volume= 6 LI minAlveolar ventilation= 4.2L/ minMaximum voluntary ventilation= 125-170 L/minMax work done in breathing=10 kg-m/breathNormal work done in breathing= 0.5 kg-m/ minTimed vital capacity / secFEV1=83% FEV3= 97%REMEMBERTotal lung capacity is measured by1) helium dilution method2) body plethismographyResidual volume is measured by1) N2 washout method.